Lactic acidosis  in  thiamine  deficiency  is  due  to which enzyme dysfunction?
1. Phosphoenol Pyruvate Carboxykinase
2. Pyruvate Dehydrogenase
3. Pyruvate Carboxylase
4. Aldolase

Correct answer: 2. Pyruvate Dehydrogenase

Explanation: In Thiamine deficiency, PDH reaction is defective. So, pyruvate is converted to lactic acid.
Causes of inhibition of PDH leading to lactic acidosis:

Inherited PDH deficiency
Thiamine deficiency
Alcoholics due to thiamine deficiency
Arsenite and Mercury poisoning

Harper 30th edition